A six year old child presented with a valgus deformity at his right elbow since 3 years that is gradually progressive.  He has history of cast applied for 6 weeks after fall on outstretched hand 3 years back.  The probable fracture was-
1. Malunited lateral Condylar fracture of Humerus
2. Malunited Supracondylar Fracture of Humerus
3. Posterior dislocation of elbow
4. Fracture medial condyle of humerus

Correct answer: 1. Malunited lateral Condylar fracture of Humerus

Explanation: (Refer: Mohindra’s Fundamentals of Orthopedics, 2nd edition, pg no. 16)
Fractures commonly showing cubitus valgus deformity due to malunion

Fracture lateral condyle humerus
Monteggia Fracture dislocation